Internationally accepted definition of abortion is the expulsion of the products of conception :
1. Before 28th week of gestation or 1 kg (weight of foetus)
2. Before 24th week of gestation or 750 gms (weight of foetus)
3. Before 20 week of gestation or 750 gms (weight of foetus)
4. Before 20th week of gestation or 500 gms (weight of foetus)

Correct answer: 4. Before 20th week of gestation or 500 gms (weight of foetus)

Explanation: Before 20th week of gestation or 500 gms (weight of foetus)